In primates; a tooth with single conical cusp and
single root is seen in:
1. Haplodont
2. Heterodont
3. Acrodont
4. Thecodont

Correct answer: 1. Haplodont